Following diseases or disorders are associated with iodine deficeiency -a) Abortionsb) Major depressionc) Goitred) Squint
1. acd
2. ad
3. bc
4. bde

Correct answer: 1. acd